'Primary health care' definition includes all except:-
1. Acceptability
2. Availability
3. Affordability
4. Ambulatory

Correct answer: 4. Ambulatory

Explanation: Primary health care: Essential health care, based on practical, scientifically sound, and socially acceptable methods and technology, made universally accessible to individuals and families in the community, through their full participation and at a cost that the community and country can afford. Hallmarks of primary health care : 4 A's of Primary Health Care 1) Affordability 2) Acceptability 3) Accessibility 4) Availability State medicine: Free medical care at government's expense Socialized medicine: Free medical care at government's expense but regulated by professional groups Service approach: Free medical care at door step of population.